Psammoma bodies are seen in all the following except ?
1. Malignant mesothelioma
2. Somatostatinoma
3. Prolactinoma
4. Follicular carcinoma of thyroid

Correct answer: 4. Follicular carcinoma of thyroid

Explanation: Ans. is 'd' i.e., Follicular carcinoma of thyroidPsammoma bodies can be seen in :?Papillary carcinoma of thyroid.Renal cell carcinoma ( papillary type)Serous cystadenoma of ovaryMeningiomaMalignant mesothelioma ( Peritoneal & pleural)Somatostatinoma (Pancreas)Prolactinomam (Pituitary)Endometrial papillary serous cystadenocarcinoma